All of the following are common features of haemorrhoids except:
1. Pain
2. Anal irritation
3. Prolapse
4. Bleeding

Correct answer: 1. Pain

Explanation: Ans: A i.e. Pain Manifestations of haemorrhoids Pain is not commonly associated with the bleeding & its presence should make the clinician alert to the,possibility of another diagnosis; however pain may result from congestion of pile masses belc4 a hypertonic sphincter In addition to the main symptoms of pain & prolapsed, patients may complain eif anal irritation Bleeding is the principal & earliest symptom.